Gut Associated Lymphoid Tissue (GALT) is primarily located in which layer of small intestine?
1. Lamina Propria
2. Submucosa
3. Muscularis
4. Serosa

Correct answer: 1. Lamina Propria

Explanation: GALT is composed of aggregated tissue in the form of peyer's patches and lymphnode follicles, and non-aggregated cells in Lamina propria and intraepitheial regions of small intestine. Ref: The Immunomodulatory Effects of Dietary Fibers and Prebiotics in The Gastrointestinal Tract By Teresa M. Paeschke, William R. Aimutis, Chapter 3; Nondigestible Carbohydrates and Digestive Health, Page 1974